A person presents wth pneumonia. His sputum was sent for culture. The bacterium obtained was gram positive cocci in chains and alpha hemolytic colonies on sheep agar. Which of the following will help in confirming the diagnosis -
1. Novobiocin
2. Optochin
3. Bacitracin
4. Oxacillin

Correct answer: 2. Optochin